Smoothest and maximum polishability is the property of:
1. Traditional composite
2. Microfilled composite
3. Hybrid composite
4. Small particle filled composite

Correct answer: 2. Microfilled composite

Explanation: These properties are due to low filler loading, hence microfilled composites are principally used for anterior esthetic restorations.